Center of complement pathway -
1. C3
2. C1
3. C5
4. C2

Correct answer: 1. C3

Explanation: - the central process in the complement cascade is the activation of C3. - in classical pathway, activation of C3 is achieved by C4b2a ( classical C3 convertase ). - the activation of C3 without prior participation of C4b2a is known as alternative pathway. Reference : Anathanarayan & paniker's 9th edition, pg no: 122,123